Cystic artery arises from:
1. Right hepatic artery
2. Left hepatic artery
3. Common hepatic artery
4. Gastroduodenal artery

Correct answer: 1. Right hepatic artery

Explanation: A. i.e. Right hepatic arteryCystic artery is usually a branch of right hepatic arteryQ* Warty of remembering - Liver & gall bladder are right sided structures.